A patient presents with Endocrinopathy, fibrous dysplasia of bone and hyperpigmentation. Diagnosis is?
1. McCune Albright syndrome
2. Addison's disease
3. Alagille syndrome
4. Lynch syndrome

Correct answer: 1. McCune Albright syndrome

Explanation: Ans. (a) McCune Albright syndrome(Ref: Robbins 9th/pg 1206-1207)McCune-Albright syndromeGeneticsIt is due to GNAS mutation - continuous activation of stimulatory G proteinPatho physiologyIncreased production of hormones by glands regulated by the G protein systemClinical featuresPrecocious puberty, Polyostotic fibrous dysplasia, unilateral Cafe au lait spots